Deltoid ligament is attached to all except
1. Medial malleolus
2. Talus
3. Calcaneum
4. Lateral malleolus

Correct answer: 4. Lateral malleolus

Explanation: DELTOID LIGAMENT:- Very strong Triangular shape Present on medial side of ankle. Ligament is crossed by the tendons of Tibialis posterior and flexor digitorum longus. Prone to injuries in inversion.Superficial and deep part. Both parts have common attachments above to the apex and margins of medial malleolus. Superficial part:-1. Anterior/Tibionavicular- attached to tuberosity of the navicular bone and medial margin of spring ligament.2. Middle/Tibiocalcanean-attached to whole length of sustentaculum tali.3. Posterior/posterior tibiotalar-attached to medial tubercle and medial surface of talus. Deep fibres:-Anterior tibiotalarAttached to the anterior part of medial surface of talus. {Reference: BDC 6E pg no.149}